All of the following features are seen in the viral pneumonia except:
1. Presence of interstitial inflammation
2. Predominance of alveolar exudate
3. Bronchiolitis
4. Multinucleate giant cells in the bronchiolar wall

Correct answer: 2. Predominance of alveolar exudate

Explanation: Typical Pneumonia Atypical pneumonia -Bacterial etiology -Alveolar exudate + neutrophilic infilitration -C/F - High grade fever productive Cough Pleuritis Signs of consolidation -Non - bacterial etiology (e.g. Virus) -Interstitial tissue inflammation -C/F- Low grade fever Dry cough Malaise no signs of consolidation